In right-sided sixth nerve palsy all of the following are seen except:
1. Convergent squint
2. Right-sided abduction loss
3. Diplopia on dextroversion
4. Head turned to left

Correct answer: 4. Head turned to left

Explanation: Ans. Head turned to left